True about irritable bowel syndrome -
1. Associated with anxiety
2. Stress predisposes
3. Diarrhea
4. All of the above

Correct answer: 4. All of the above